Optimal percentage of NaCI for V cholerae ?
1. 1%
2. 2%
3. 3%
4. 4%

Correct answer: 1. 1%

Explanation: Ans. is 'a' i.e., 1%